All of the following are the clinical feature of thromboangitis obliterence, EXCEPT:
1. Raynaud's phenomenon
2. Claudication of extremeties
3. Absence of popliteal pulse
4. Migratory superficial thrombophlabitis

Correct answer: 3. Absence of popliteal pulse

Explanation: Clinical features of Thromboangiitis obliterans includes a triad of claudication of the affected extremity, Raynaud's phenomenon, and migratory superficial vein thrombophlebitis. The physical examination shows normal brachial and popliteal pulses, but reduced or absent radial, ulnar, and/or tibial pulses. Claudication usually is confined to the calves and feet or the forearms and hands as it primarily affects distal vessels. In the presence of severe digital ischemia, trophic nail changes, painful ulcerations, and gangrene develop at the tips of the fingers or toes. Ref: Schwartz's Principles of Surgery, 9th Edition, Chapter 23; Harrison's Internal Medicine, 18th Edition, Chapter 249